In an adult, spinal cord normally ends at
1. Lower border of L1
2. Lower border of L3
3. Lower border of S1
4. Lower border of L5

Correct answer: 1. Lower border of L1

Explanation: The spinal cord at first extends throughout the length of the developing vertebral canal. subsequently, however, the vertebral column becomes much longer than the spinal cord with the result that at full term the lower end of the cord is at the level of third lumbar vertebrae. this process of recession of spinal cord continues after birth as a result of which, in the adult, the spinal cord usually ends at the level of the lower border of the first lumbar vertebraeHUMAN EMBRYOLOGY-INDERBIR SINGH TENTH EDITION-PAGE NO:328